Vein of Galen drains into
1. Internal jugular vein
2. External jugular vein
3. Straight sinus
4. Superior sagittal sinus

Correct answer: 3. Straight sinus

Explanation: The vein of Galen,also known as the great cerebral vein or great vein of Galen is a single median vein.It is formed by union of the two internal cerebral veins.It terminates in the straight sinus.Its tributaries include the basal veins,and veins from the pineal body,the colliculi,the cerebellum,and the adjoining part of the occipital lobes of the cerebrum. REF.B D Chaurasia's Human Anatomy,Vol 3,Fifth edition,Pg 448